Durg of choice for chemoprophylaxis of plague -
1. Erythromycin
2. Cotrimoxazole
3. Tetracycline
4. Sulfadiazine

Correct answer: 3. Tetracycline

Explanation: Drug of choice for chemoprophylaxis of plague is tetracycline. For adults, the dose is 500 mg 6 hourly for 5 days A cheaper alternative is sulfonamide, 2 to 3 gm daily for 5 to 7 days. Ref: PARK'S TEXTBOOK OF PREVENTIVE AND SOCIAL MEDICINE 23rd edition pg: 296